Right border of heart is formed by all except -
1. Right atrium
2. Rightventricle
3. SVC
4. IVC

Correct answer: 2. Rightventricle

Explanation: Ans. is 'b' i.e., Right ventricle o Dont get confused with above question. Most probably this question has been framed by a radiologist. Read following factsi) Right border of heart is formed by (anatomically) - Right atrium.ii) Right border of heart is formed by (on X-ray PA view) - Right atrium (majority), SVC, I VC. o Similiarly-i) Left border of heart is formed by (anatomically) - Left atrium (mainly), left auricle.ii) Left border of heart is formed by (on X-ray PA view) - Aortic knucle, Pulmonary trunk, left auricle, left atrium, left ventricle.